Pathogenesis of Mycobacterium tuberculosis by macrophage is mainly mediated by -
1. IL-6
2. IFN-12
3. IFN gamma
4. IL-3

Correct answer: 3. IFN gamma

Explanation: . IFN gamma